Bristol chart is used fore
1. Stool consistency
2. Nocturnal enuresis
3. Intellectual disability
4. Cognitive development

Correct answer: 1. Stool consistency

Explanation: Answer- A. Stool consistencyThe Bristol stool scale(Bristol stool chart (BsC)) is a diagnostic medical tool designed to classifr the form of human feces into seven categories.The seven types ofstcol areType 1 Separate hard lumps, like nuts (hard to pass); also known as goat faecesType 2: Sausage-shaped but lumpyType 3: Like a sausage but with cracks on its surfaceType 4: Like a sausage or snake, smooth and softType 5: Soft blobs with clear cut edges (passed easily)Type 6: Fluft pieces with ragged edges, a mushy stoolType 7: Watery, no solid pieces, entirely liquid